Thiamine deficiency is seen in all except ?
1. Chronic diarrhoea
2. Chronic alcoholism
3. Homocystinemia
4. Food faddist

Correct answer: 3. Homocystinemia

Explanation: Ans. is 'c' i.e., Homocystienentia Causes of Thiamine deficiency o Persons may become deficient in thiamine either by not ingesting enough vitamin B-1 through the diet or by excess use, which may occur in hyperthyroidism, pregnancy, lactation, or fever (sates of high energy consumption, such as hyperthyroidism, pregnancy, or severe illness, require more thiamine and other nutrients.) o Prolonged diarrhea may impair the body's ability to absorb vitamin B-1, and severe liver disease impairs its use. D Decreased absorption is seen in Diarrhea Chronic intestinal disease Alcoholism Malnutrition Gastric bypass surgery Malabsorption syndrome Celiac and tropical sprue 1-Iyperemesis gravidarum Long term starvation Fad diets( Fad diets often do not contain necessary amounts of thiamine) Increased depletion is seen in Diuretic therapies Peritoneal dialysis Hemodialysis (Dialysis robs thiamine from the circulation) o Alcohol is known to interfere directly with the absorption of thiamine and with the synthesis of thiamine pyrophosphate.( thiamine should always be replenished when refeeding a patient with alcoholism, as carbohydrate repletion without adequate thiamine can precipitate acute thiamine deficiency.) o Beriberi has been reported among refugees who are relying on emergency food aids. This is due to the lack of available micronutrition supplementation Food faddism and fad diet are terms which refer to the tendency for idiosyncratic diets and eating patterns. A fad diet is supposed and promoted to improve health but may do nothing at all, or even have the opposite results if it is nutritionally unbalanced and unconfirmed by scientific studies o Developing countries are known to have more vitamin deficiency problems in general.